A 45 yrs male presented with an expansile lesion in the centre of femoral metaphysis. The lesion shows endosteal scalloping & punctuate calcifications.Most likely diagnosis is -
1. Osteosarcoma
2. Chondrosarcoma
3. Simple bone cyst
4. Fibrous Dysplasia

Correct answer: 2. Chondrosarcoma

Explanation: You can simply solve this question by knowing very simple fact that punctate calcification is seen in cartilaginous tumors and amongst the given options, only chondrosarcoma is cartilaginous.